Withdrawal bleeding with progesterone seen in otherwise amenorrhoeic woman due to :
1. Hypogonadotrophic hypogonadism
2. Anovulation
3. Ovarian failure
4. TB endometritis

Correct answer: 2. Anovulation

Explanation: Ans. is b i.e. Anovulation